Which is not a component of Rotator cuff?
1. Infraspinatus
2. Teres major
3. Subscapularis
4. Supraspinatus

Correct answer: 2. Teres major

Explanation: The term "Rotator Cuff" is used to describe the group of muscles and their tendons in the shoulder that helps control shoulder joint movements.The supraspinatus is at the top (superior) of the shoulder, the subscapularis is anterior (front), and the infraspinatus and teres minor are posterior (behind).